Residual volume is best measured by ?
1. Body plethysmography
2. Helium dilution method
3. Spirometry
4. All of above

Correct answer: 1. Body plethysmography

Explanation: Answer- A. Body plethysmographypulmonary plekysmographs are commonly used to measure the functional residual capacity (FRC) of the lungs - the volumein the lungs when the muscles of respiration are relaxed - and total long capacity